Metastasis of ca buccal mucosa goes to
1. Heart
2. Brain
3. Regional lymph node
4. Lungs

Correct answer: 3. Regional lymph node

Explanation: Tumors in this area have a propensity to spread locally and to metastasize to regional lymphatics . Lymphatic metastasis of Buccal ca go to submandibular and later upper jugular nodes. MC type of Buccal ca - Squamous cell ca Commonest site of origin - angle of mouth or the line of occlusion of upper and lower teeth